Turn over rate of palate and tongue is:
1. 1-6 days
2. 5-6 days
3. 2-3 days
4. 10-12 days

Correct answer: 2. 5-6 days

Explanation: Turn over rate
Buccal mucosa, hard palate, sulcular epithelium is 5-6 days
JE is 1-6 days.
Marginal and attached gingiva is 10-12 days.